Which of the following is the BEST diagnostic method for detecting breast lump?
1. USG
2. Mammogram
3. Biopsy
4. FNAC

Correct answer: 3. Biopsy

Explanation: Remember: First investigation in case of breast lump is FNAC Best and the definitive investigation in case of breast lump is Open Biopsy Preferred method of investigation in breast lump is Core Needle Biopsy Ref: Schwartz 9/e Page 425; CSDT 12/e, Page 306.